GLUT2 receptors
1. Insulin dependent
2. Insulin independent
3. Found in cardiac muscle
4. Found in brain

Correct answer: 2. Insulin independent

Explanation: GLUT 2 is the transporter in liver cellsGLUT 2 has to be insulin independent since unless glucose enters beta cells GLUT 2 it won't be able to make the ATP required to close the K+ channel which is required to depolarize the membrane for Ca+ channels to open and Ca+ to enter the cell to bring about insulin releaseRef: DM Vasudevan, 7th edition, page no: 108